Prognosis in a soft tissue tumour is determined by ?
1. Grade of tumour
2. Bulk of the tumour
3. Depth of Invason
4. Lymph nodal involvement

Correct answer: 1. Grade of tumour

Explanation: Ans. is 'a' i.e., Grade of tumor o Whatever the type, the grade of soft tissue Sarcoma is important for predicting its behaviour - Robbins